Furosemide acts to inhibit Na + reabsorption in which of the following locations
1. Descending limb of the loop of Henle
2. Distal convoluted tubule
3. Collecting duct
4. Ascending limb of the loop of Henle

Correct answer: 4. Ascending limb of the loop of Henle

Explanation: HIGH CEILING (LOOP) DIURETICS (Inhibitors of Na+ K+ 2Cl- Cotransport) Furosemide (Frusemide):- The major site of action is the thick AscLH (therefore called loop diuretics) where furosemide inhibits Na+- K+-2Cl- cotransport. A minor component of action on PT has also been indicated. It is secreted in PT by organic anion transport and reaches AscLH where it acts from lluminal side of the membrane. Ref:- kd tripathi; pg num:-579